Which of the following is/are true about breast self examination:
1. Performed in different positions like standing, sitting, supine etc
2. RTT survival rate
3. Done about 2-3 day before menstrual cycle in premeno-pausal women
4. It should be start only after 35 year

Correct answer: 1. Performed in different positions like standing, sitting, supine etc

Explanation: Answer- A. Performed in different positions like standing, sitting, supine etcBreast self-examination (BSE) has not been shown to improve survivalThe American Cancer Society no longer racommends monthly BSE beginning at age 20 years.Premenopausal women should perform the examination 7-8 days after the menstrual period.The breasts should be inspected initially while standing before a mirror with the hands at the sides, overhead, and pressed firmly on the hips to contract the pectoralis muscles.